which of the following statements is true regarding retro sternal goitres ?
1. sternal incision is always required
2. Majority of the goitres derive their blood
3. Majority of the retro sternal goitre can be removed by a neck incision
4. Operated only if patient is symptomatic

Correct answer: 3. Majority of the retro sternal goitre can be removed by a neck incision

Explanation: majority of the restrosternal goitres as are secondary goitres which can be removed a neck cervical incision ref : bailey and love 27th ed